The standard power of an intraocular lens implanted in the posterior chamber is:
1. 18 dioptres
2. 20 dioptres
3. 23 dioptres
4. 25 dioptres

Correct answer: 2. 20 dioptres

Explanation: Ans. 20 dioptres